Urinary incontinence results from all except:
1. Neurogenic bladder
2. Vesico vaginal fistula
3. Ectopic ureter
4. Rectovesical fistula

Correct answer: 4. Rectovesical fistula

Explanation: Rectovesical fistula doesn't cause urinary incontinence, as the level of fistula is above the sphincter mechanism. Causes of Incontinence: Problems of social control Uninhibited detrusor hyperreflexia and impaired social perception in dementia Storage problems Small bladder capacity owing to fibrosis (tuberculosis, radiotherapy or interstitial cystitis) Small functional capacity owing to severe detrusor instability, neurogenic dysfunction or infection Impairement of emptying Chronic retention or neurogenic bladder dysfunction have small functional bladder capacities with detrusor ovveractivity causing incontinence despite having large residual volumes of urine. Weak Sphincter This leads to genuine stress incontinence Fistulae Leakage from fistulae (Vesicovaginal) or upper tract duplication with an ectopic ureter Ref: Bailey 27th edition Pgno: 1430